Intraocular calcification in eye in child -
1. Toxocara
2. Retinoblastoma
3. Angiomatosis retinae
4. Malignant melanoma of choroid

Correct answer: 2. Retinoblastoma

Explanation: Ans. is 'b' i.e., Retinoblastoma o In retinoblastoma, there are areas of necrosis and calcification.o In the presence of calcification, endophytic retinoblastoma gives the typical 'cottage cheese' appearance.